19 years male develops painless penile ulcers 9 days after sexual intercourse with a professional sex worker likely diagnosis is –
1. Chancroid
2. Herpes
3. Chancre
4. Traumatic ulcer

Correct answer: 3. Chancre

Explanation: Amongst the given options only chancre (syphilis) causes painless ulcer.